A patient with hip in adduction and medial rotation and is unable to move probable diagnosis is -
1. Posterior dislocation head of femur
2. Fracture shaft of femur
3. Fracture neck of femur
4. Sciatica

Correct answer: 1. Posterior dislocation head of femur